Digoxon is not affected in:
1. Hepatic disease
2. Electrolyte disturbances
3. Renal failure
4. MI

Correct answer: 1. Hepatic disease

Explanation: Ref:KDT 5/e p463; KDT 6/e p497 Digoxin has also been associated with visual disturbance (blurred or yellow vision), abdominal pain, and breast enlargement. Patients with low blood potassium levels can developdigoxin toxicity even when digoxinlevels are not considered elevated.